Visual prognosis is poor in:
1. Bilateral congenital cataract
2. Unilateral congenital cataract
3. Zonular cataract
4. Cataract pulverulenta

Correct answer: 2. Unilateral congenital cataract

Explanation: Ans. Unilateral congenital cataract